Fouchette is where
1. Both labia minora meet posteriorly
2. Both labia minora meet anteriorly
3. Labia mionra and majora meet
4. Distance between vulva and labia minora

Correct answer: 1. Both labia minora meet posteriorly

Explanation: Labia minora are two thick folds of skin devoid of fat, on either side just within the labia majora Anteriorly they are divided to enclose the clitoris and unite with each other in front and behind clitoris to form prepuce and frenulum, respectively The lower portion of labia minora fuses across the midline to form a fold of skin known as a fourchette. It is usually injured during childbirth. Ref: D.C. Dutta's Textbook of Gynaecology, 6th edition, page no: 1